Which of the following enzyme does not catalyzes irreversible step in glycolysis ?
1. Hexokinase
2. Phosphoglycerate kinase
3. Pyruvate kinase
4. Phosphofructokinase

Correct answer: 2. Phosphoglycerate kinase

Explanation: Ans. is 'b' i.e., Phosphoglycorate kinase Glycolysis is regulated at 3 steps which are irreversible. These reactions are catalyzed by following key enzymes :? 1) Hexokinase and glucokinase 2) Phosphofructokinase - I 3) Pyruvate kinase.